What is deposited in Kyser-Fleischer ring -
1. Copper
2. Lead
3. Mercury
4. Heme

Correct answer: 1. Copper

Explanation: Kayser-FLeischer (KF) ring → Copper deposition in Chalcosis or Wilson’s disease
Fleischer ring → Deposition of iron and is a sign of keratoconus